A 6-year-old boy presents with acute abdomen and nonhealing ulcer on medial malleolus. Peripheral smear is shown. The most likely cause of this condition is?
1. Trinucleotide repeat
2. Antibody to RBC membrane
3. Substitution of single amino acid base
4. Genomic imprinting

Correct answer: 3. Substitution of single amino acid base

Explanation: Ref: Robbins, 8th ed. pg. 645-647Point mutation in 6th codon of b-globin that leads to replacement of glutamate by valine residue.